All of the following are done in behavior therapy to increase a behavior except:
1. Punishment
2. Operant conditioning
3. Negative reinforcement
4. Reward

Correct answer: 1. Punishment

Explanation: A i.e. Punishment Punishment & frustrative-non reward lead to decrease in resultant behavior, whereas both positive & negative reinforcements increases (reinforces) the frequency of a particular response. Operant conditioning describes how consequences of a behavior lead to an increase or decrease in that behavior. Behavior is increased when it is followed by reward (Positive reinforcement) or removal of unpleasant stimulus (negative reinforcement) and reduced by taking away a positive stimulus (frustrative-non reward) or adding a negative stimulus (punishment).